RBC should be transfused with a needle having which of the following size?
1. With a 16-18 G needle
2. With a 18-20 G needle
3. With a 20-22 G needle
4. With a 22-24 G needle

Correct answer: 2. With a 18-20 G needle

Explanation: Big sized needle is used to reduce the risk of hemolysis and speed up the blood flow rate. As per the norms, the needle to be used in the adults for blood transfusion is 18-20 guage. The transfusion has to be started within 30 minutes and finish within 4hrs of issue from the blood bank.